Which of the following hospital waste must be discarded in Blue bag?
1. Plastic syringe
2. Catheter
3. Canula
4. Medicine Ampoules and Vials

Correct answer: 4. Medicine Ampoules and Vials

Explanation: Ans- D Medicine Ampoules and Vials Ref- BMW guidelines 2016